A patient who underwent surgery for stage IA grade 3 Ca endometrium was brought to you for postoperative adjuvant therapy. What is the preferred mode of treatment in the above mentioned case?
1. External pelvic radiation
2. External field radiation
3. Vaginal brachytherapy
4. Observation

Correct answer: 3. Vaginal brachytherapy

Explanation: The postoperative adjuvant therapy for different stages of Ca endometrium is given below Stages Adjuvant therapy Stage IA, G1, G2 Observation Stage IA, G3 Vaginal brachytherapy Stage IB, G1, G2, G3 & Stage II, Stage III A ,B, C1, G1, G2, G3 External pelvic radiation + vaginal brachytherapy Stage III ,C2, G1, G2, G3 Extended field radiation + Vaginal brachytherapy Stage IV Whole abdominal radiation + pelvic radiation + Vaginal brachytherapy Ref: Essentials of Gynaecology by Lakshmi Seshadri, Edition 1, page - 414.